All are true about boundries of epiploic foramen except -
1. Anterior : portal vein & hepatic artery
2. Posterior : IVC
3. Inferior : liver
4. Inferior : duodenum

Correct answer: 3. Inferior : liver

Explanation: Epiploic foramen (foramen of winslow or aditus to lesser sac) is a slit-like opening through which lesser sac communicates with greater sac. It is situated at the level of T12 vertebra. Its boundries are :- Anterior :- Right free margin of lesser omentum (contains portal vein, hepatic artery proper and bile duct). Posterior :- IVC, right suprarenal gland and T12 vertebra. Superior :- Caudate lobe of liver. Inferior :- 1st part of duodenum and horizontal part of hepatic artery.